CSF pressure depends primarily upon?
1. Rate of formation from choroid plexus
2. Rate of absorption
3. Cerebral blood flow
4. Blood pressure

Correct answer: 2. Rate of absorption

Explanation: Ans. B. Rate of absorptionCSF pressure depends primarily upon Rate of absorption because the rate of the formation is fairly constant.